With respect to development of nephron arrange the stages in order of there development: 1.Vesicle stage 2.Pre-tubular aggregates 3.Comma shaped 4.S-shaped
1. 1-3-4-2
2. 2-3-1-4
3. 1-4-2-3
4. 2-1-3-4

Correct answer: 4. 2-1-3-4

Explanation: Kidney develops from metanephros. Pronephros degenerates and never forms functional nephrons. Stages in order of nephron development Ureteric bud Pretubular aggregates Renal vesicle Comma Shaped S Shaped Mature nephron